Dimorphic fungus is
1. Histoplasma
2. Crytococcus
3. Mucor
4. Aspergillus

Correct answer: 1. Histoplasma

Explanation: Cryptococcus - yeast Aspergillus and mucor are moulds